Grievous hurt deals under
1. Section 304
2. Section 310
3. Section 320
4. Section 357

Correct answer: 3. Section 320

Explanation: Injuries are grievous, Those that endangers life Those that cause severe bodily pain for 20 days. Those that disable the sufferer from following his ordinary pursuits for 20 days. Ref: TEXTBOOK OF FORENSIC MEDICINE AND TOXICOLOGY KRISHNAN VIJ FIFTH EDITION PAGE 209